Which of the following types of nerve fibres carry fast pain:
1. A alpha
2. A beta
3. A gamma
4. A delta

Correct answer: 4. A delta

Explanation: A delta